A newborn has hydrocephalus, chorioretinitis, intracranial calcifications, and anemia. For the mentioned clinical scenario, select the most likely diagnosis
1. Congenital toxoplasmosis
2. Congenital syphilis
3. Congenital rubella
4. Congenital CMV

Correct answer: 1. Congenital toxoplasmosis

Explanation: Toxoplasmosis can cause symptoms similar to other congenital infections, but the combination of hydrocephalus, chorioretinitis, and intracranial calcifications is considered the "classic triad" of toxoplasma infection in a neonate. Infection usually occurs during primary infection of the mother or as a reactivation of infection in an immune-compromised host. These infants may also display symptoms similar to other congenital infections, such as anemia, a petechial rash, organomegaly, jaundice, and seizures.